Which of the following drugs causes hypothyroidism?
1. Haloperidol
2. Clozapine
3. Lithium carbonate
4. Amoxapine

Correct answer: 3. Lithium carbonate

Explanation: Ans. is 'c' i.e., Lithium carbonate Drugs causing hypothyroidism* Lithium* Sulfonamide* Phenobarbitone* Phenytoin* Amiodarone* Paraminosalycylic acid (PAS)* Rifampicin* Carbamazepine* Iodides* Carbimazole* Acetazolamide* Phenylbutazone* Ethionamide